A person who may be impotent with one particular woman is called :-
1. Quoad hoc
2. Frigidity
3. Atavistic form
4. None of the above

Correct answer: 1. Quoad hoc

Explanation: Quoad hoc : A person who may be impotent with one particular woman Frigidity: Failure of a female to respond to sexual stimulus; aversion on the part of a woman to sexual intercourse; failure of a female to achieve an orgasm (anorgasmia) during sexual intercourse. Atavistic form is a historical approach used to explain criminal behaviour, which is based on the biological factors. - proposed by Lombroso in the 1870s - suggests that some people are born with a criminal personality (e.g. it is innate) that is a throwback to a previous more primitive ancestor.